NVBDCP includes all except ?
1. Malaria
2. Filariasis
3. Kala azar
4. Yellow fever

Correct answer: 4. Yellow fever

Explanation: NVBDCP National vector borne disease control programme: Implemented in states/UT's for prevention and control of vector borne diseases namely malaria, filariasis , Kala azar , Japanese encephalitis ,Dengue fever and chikungunya The directorate of NVBDCP is the nodal agency for planning , policy making and technical guidance and monitoring and evaluation of programme implementation . The states are responsible for planning, implementation and supervision of the programme. Under NVBDCP, three prolonged strategies have been developed: 1. Disease management including early case detection and complete treatment, strengthening of referral services, epidemic preparedness and rapid response. 2. Integrated vector management. 3. Supportive intervensions including behavioral change communication, human resource development through capacity building, operational research etc. {Reference : park's textbook of preventive and social medicine, 23rd edition, pg no.414}